Most common intracranial malignancy is
1. Glioblastoma multiforme
2. Ependymoma
3. Choroid angioma
4. Pinealoma

Correct answer: 1. Glioblastoma multiforme

Explanation: Glioblastoma multiforme (GBM) is the most common and deadliest of malignant primary brain tumors in adults and is one of a group of tumors referred to as gliomas. Classified as a Grade IV (most serious) astrocytoma, GBM develops from the lineage of star-shaped glial cells, called astrocytes, that support nerve cells. GBM develops primarily in the cerebral hemispheres but can develop in other parts of the brain, brainstem, or spinal cord. Refer Robbins page no 1308